Rate limiting enzyme in catecholamine synthesis-
1. Dopa decarboxylase
2. N-methyltransferase
3. Dopamine hydroxylase
4. Tyrosine hydroxylase

Correct answer: 4. Tyrosine hydroxylase

Explanation: Ans. is 'd' i.e., Tyrosine hydroxylase DopaTyrosine hydroxylase--------- Tyrosinase ..-------- DopaTyrosine|Dopa decarboxylase| | TyrosinaseDopamine Throxine (T4)Dopaquinone|b-oxidaseTriiodothyronine|(b-bydroxylase) NorepinephrineMelanin|N -methyl transferase (N-methylation)Epinephrineo Tyrosine hydroxylase is the rate limiting enzy me in the synthesis of catecholamines and it catalyzes the con version of ty rosine into dopa.o Immediate precursor of norepinephrine is dopmine.